All of the following statements are true about chaperones except that they
1. Belong to heat shock proteins
2. Are also known as stress proteins
3. Participate in protein folding
4. Bind to the hydrophilic regions of an extended polypeptide

Correct answer: 4. Bind to the hydrophilic regions of an extended polypeptide

Explanation: Protein folding requires a specialized group of proteins,refered as chaperones. Chaperones are also known as "heat-shock proteins" and "stress proteins" Chaperones bind to the hydrophobic regions of an extended polypeptide and are important in keeping the protein unfolded,until its synthesis is completed. Reference: Harpers illustrated Biochemistry 31st edition pg45